Schistocytes are seen in:
1. Iron deficiency anemia
2. Megaloblastic anemia
3. Haemolytic anemia
4. Aplastic anemia

Correct answer: 3. Haemolytic anemia

Explanation: Ans: C i.e. Haemolytic anemiaAnemias and featuresPeripheral smears of iron deficiency anemia shows smaller RBC (microcytic) and paler RBC (hypochromic). Poikilocytosis in the form of small, elongated RBCs (pencil cells) is also characteristically seenThe presence of RBC that are macrocytic and oval (macro-ovalocytes) is highly characteristic of megaloblastic anemia. Neutrophils are also larger than normal (macropolymorphonuclear) and hypersegmented, having five or more nuclear lobules instead of the normal three to fourThe most significant hemolysis caused by trauma to RBC is seen in individuals with cardiac valve prostheses and micro-angiopathic haemolytic anemia (DIC, TTP, HUS, SLE and malignant hypeension). Traumatic damage to RBC leads to the appearance of red cell fragments (schistocytes), "burr cells," "helmet cells," and "triangle cells" in blood smears.Aplastic anemia is best appreciated in marrow biopsies. The markedly hypocellular bone marrow is largely devoid of hematopoietic cells; often only fat cells, fibrous stroma, and scattered lymphocytes and plasma cell remains. Marrow aspirates often yield little material (a "dry tap").